All of the following are associated with low complement levels, EXCEPT:
1. Lupus nephritis
2. Membranoproliferative glomerulonephritis
3. Atypical hemolytic uremic syndrome
4. Visceral sepsis associated glomerulonephritis

Correct answer: 4. Visceral sepsis associated glomerulonephritis

Explanation: Visceral sepsis associated glomerulonephritis is associated with normal levels of serum C3, C4 and CH50, unless there is an associated endovasculitis. Subacute and chronic infections including intrathoracic and intra abdominal abcess, osteomyelitis, maxillary sinus abcess, septic abortion all are associated with glomerulonephritis. Histology shows proliferative glomerulonephritis. Immunoflouresence shows C3 deposits. Electron microscopy shows electron dense deposits in the mesangium as well as subepithelial humps. Ref: Manual of Pediatric Therapeutics, By John W. Graef, Page 318 ; Transfusion Medicine and Hemostasis: Clinical and Laboratory Aspects By Christopher D. Hillyer, Page 504 ; Diseases of The Kidney and Urinary Tract By Robert W. Schrier, 8th Edition, Page 1473 ; Rheumatology Secrets By Sterling G. West, 2nd Edition, Page 99